Not a part of triad of may - Hegglin anomaly
1. Thrombocytopenia
2. Giant platelets
3. Albinism
4. Inclusion bodies in Leucocytes

Correct answer: 3. Albinism